Eradication of H. pylori has been proved to be beneficial in the following condition except
1. Duodenal ulcer
2. Gastric ulcer
3. Low grade MALT lymphoma
4. Hypertrophic gastritis

Correct answer: 4. Hypertrophic gastritis